Which of the following instrument is used to curette furcation area?
1. Naber's probe
2. Hu-friedy Mini 5 curette
3. Hu-friedy After 5 curette
4. Universal curette

Correct answer: 2. Hu-friedy Mini 5 curette